The metabolite that is regarded as the dead end in glycolysis -
1. Pyruvate
2. Lactate
3. 2,3-bisphosphoglycerate
4. 3-phosphoglycerate

Correct answer: 2. Lactate

Explanation: Ans. is 'b' i.e.? Lactate o Unlike pyruvate wrhich is converted to acetyl CoA to enter into krebs cycle, lactate cannot be further utilized by further metabolic pathways.o Thus, lactate can be regarded as dead end in glycolysis.